What is the treatment of choice in a newborn presented with stridor due to laryngomalacia?
1. No treatment
2. Immediate surgery
3. Steroids
4. Surgery after 2 years

Correct answer: 1. No treatment

Explanation: In most patients, laryngomalacia is a self-limiting condition that does not result in any harm to the patient; therefore, observation is all that is required. In the most severe cases of laryngomalacia, which is encountered in a small percentage of patients, a temporary tracheotomy. The main indications for surgery are severe stridor, apnea, failure to thrive, pulmonary hypertension, and cor pulmonale. Ref: Yates P.D. (2012). Chapter 33. Stridor in Children. In A.K. Lalwani (Ed), CURRENT Diagnosis & Treatment in Otolaryngology--Head & Neck Surgery, 3e.